Drug which can cause Hypertrophic Pyloric stenosis is:
1. Rifampicin
2. Erythromycin
3. Azithromycin
4. Ampicillin

Correct answer: 2. Erythromycin

Explanation: Erythromycin